Most common artery responsible for hemorrhage in peptic ulcer is:
1. Gastro epiploic artery
2. Left gastric artery
3. Gastro duodenal artery
4. Superior mesenteric artery

Correct answer: 3. Gastro duodenal artery

Explanation: Ans: (Gastro duodenal artery) Ref: Sabiston Textbook of Singers, 19th Edition -1164Explanation:Peptic ulcer disease (PUD)Most common cause of upper GI hemorrhageApproximately 10% to 15% of patients with PUD develop bleedingBleeding is the most common indication for operation and the most common cause for death in PUD.Duodenal ulcers are common then gastric ulcersSource of bleeding from Duodenal ulcer - Gastroduodenal arterySource of bleeding from Gastric ulcer - Left Gastric arteryManagementResuscitationIntravenous Proton Pump Inhibitors are started in all patients.Upper Gastro Intestinal Endoscopy (UGIE) should be done within 24 hoursAnti H.Pylori treatment if the patient tests positive for H.PyloriFurther management is based on findings at UGIE using Forrest classificationEndoscopic TherapyFor cases of active bleeding as well as those with a visible vessel (Forrest I to Ila).In case of an adherent clot (Forrest lib), the clot is removed and the underlying lesion evaluated.Ulcers with a clean base or black spot don't require intervention.Endoscopic optionsEpinephrine injectionHeater probes,Monopolar oi bipolar electrocoagulation,Laser or argon plasma coagulation (APC)HemoclipsUsually a combination therapy involv ing injection and coagulation is employedIndications for SurgeryHemodynamic instability despite vigorous resuscitation (>6u transfusion)Failure of endoscopic techniques to arrest hemorrhageRecurrent hemorrhage after initial stabilization {with up to two attempts at obtaining endoscopic hemostasis)Shock associated with recurrent hemorrhageContinued slow bleeding with a transfusion requirement >3u/dayRelative IndicationsRare blood type or difficult crossmatchRefusal of transfusionShock on presentationAdvanced ageSevere comorbid diseaseBleeding chronic gastric ulcer for which malignancy is suspectedForrest ClassificationGradeDescriptionRebleeding risklaActive, pulsatile bleedingHighlbActive, nonpulsatile bleedingHighIIaNonbleeding visible vesselHighIIbAdherent clotIntermediateIIcUlcer with black spotLowIIIiClean, nonbleeding ulcer bedLow